Hypopituitarism in the adult is usually due to infarction of the pituitary called as:
1. Simmonds’ diseases
2. Hilton's disease
3. Wilson disease
4. Addison disease

Correct answer: 1. Simmonds’ diseases

Explanation: Hypopituitarism in the adult is usually due to an infarction of the pituitary called Simmonds’ disease. 
 It is characterized by loss of weight and diminished sexual function. The basal metabolic rate is markedly lowered, and since Simmonds’ disease represents a panhypopituitarism, there is a decrease in the activity of the many hormones of the pituitary gland and of those glands that are under pituitary regulation. In this disease, the skin shows atrophic alterations. Changes in the head include thin eyebrows, loss of eyelashes, sharp features, thin lips, and an immobile expression. There will be a decreased salivary ﬂow due to hyperfunctioning of salivary glands which leads to increased caries activity and periodontal disease.